Which drug regimen is given in a pregnant woman with HIV infection?
1. Tenofovir disoproxil fumarate with emtricitabine
2. Tenofovir disoproxil fumarate with lamivudine
3. Abacavir with lamivudine
4. ALL

Correct answer: 4. ALL

Explanation: Preferred Regimens for HIV Antiretroviral Therapy (ART) in Pregnancy Two-NRTI backbone Regimens include the following * Tenofovir disoproxil fumarate with emtricitabine (TDF/FTC co-formulated) or tenofovir disoproxil fumarate with lamivudine (3TC) once daily (use with caution in renal insufficiency) or * Abacavir with lamivudine (ABC/3TC) once daily (only if HLA-B5701-negative); avoid combination with ritonavir-boosted atazanavir if the pretreatment HIV viral load exceeds 100,000 copies/mL. For women who have never taken HIV medicines, the preferred HIV regimen should include two nucleoside reverse transcriptase inhibitors (NRTIs) plus an integrase strand transfer inhibitor (INSTI), a non-nucleoside reverse transcriptase inhibitor (NNRTI), or a protease inhibitor (PI) with low-dose ritonavir (brand name: Norvir). The regimen generally should include at least one of the following NRTIs that pass easily across the placenta: * abacavir (brand name: Ziagen) * emtricitabine (brand name: Emtriva) * lamivudine (brand name: Epivir) * tenofovir disoproxil fumarate(brand name: Viread) * zidovudine (brand name: Retrovir REF : HARRISONS 21ST ED